Drugs which cause both physical and psychological dependence are ?
1. Opioids
2. Alcohol
3. Nicotine
4. All the above

Correct answer: 4. All the above

Explanation: Ans. is'd' i.e., All the above [Ref Niraj Ahuja 6'h/e p. 37; Essential of clinical psychiatry 4'h/e p. 247)